Three dimensional localization of a tooth in maxillary sinus is best achieved with the following
1. IOPA + maxillary Occlusal
2. Lateral cephalogram + maxillary occlusal
3. OPG + maxillary occlusal
4. Water + maxillary occlusal

Correct answer: 4. Water + maxillary occlusal